Cyclodevelopmental life cycle is a type of transmission of arthropod-borne diseases. It is seen in:
1. Malaria
2. Plague
3. Scabies
4. Filaria

Correct answer: 4. Filaria

Explanation: Cyclodevelopmental life cycle: The disease agent undergoes cyclical changes but does not multiply in the body of the arthropod, e.g. filarial parasite in culex mosquito and guinea worm embryo in cyclops. Plague bacilli in rat fleas is an example for propagative transmission. Malaria parasite in anopheline mosquito is a type of cyclopropagative transmission. Scabies and pediculosis are example for direct contact. Ref: Park's Textbook of Preventive and Social medicine, 19th edition, Page 623.